Most common causative organism of acute pyelonephritis in pregnancy is?
1. E.coli
2. Klebsiella pneumonia
3. Enterobacter
4. Staphylococcus group

Correct answer: 1. E.coli

Explanation: ANSWER: (A) E.coliREF: Dutta's textbook of obstetrics 6th ed page 296Incidence of pyelonephritis in pregnancy 1-3%Previous history of urinary tract infection increases chance by 50%Organisms associated are: E:coli (70%), Klebsiella (10%), Enterobacter, Proteus pseudomonas, Staphylococcus aureus